Welder's flash is due to -
1. Infrared rays
2. UV rays
3. Blue - violet light
4. All of the above

Correct answer: 2. UV rays

Explanation: Answer- B. UV raysWelder's flash is photophthalmia or photokeratitis.